Pyronaridine is an:-
1. Antimalarial drug
2. Anti HIV drug
3. Antifungal drug
4. Antibacterial drug

Correct answer: 1. Antimalarial drug

Explanation: Pyronaridine is an anti-malarial agent related to amodiaquine. It is highly effective against chloroquine resistant falciparum malaria. Currently it is being evaluated in combination with artesunate.